Saltatory conduction in myelinated axons results from the fact that:
1. Salt concentration is increased beneath the myelin segments
2. Nongated ion channels are present beneath the segments of myelin
3. Membrane resistance is decreased beneath the segments of myelin
4. Voltage-gated sodium channels are concentrated at the nodes of Ranvier

Correct answer: 4. Voltage-gated sodium channels are concentrated at the nodes of Ranvier

Explanation: Ans. D. Voltage-gated sodium channels are concentrated at the nodes of Ranviera. A specialization occurs in myelinated axons in which the voltage-gated sodium channels are preferentially distributed to the axonal membrane beneath the nodes of Ranvier.b. Since these channels are required for the generation of an action potential, the action potential jumps from node to node.c. This process is facilitated by an increased membrane resistance and a decreased capacitance associated with the myelinated regions of the axon, both of which promote the electrotonic spread of the positive charge that accumulates beneath one node of Ranvier at the peak of the action potential.d. Non gated ion channels are not involved in the generation of action potential.